True about varioliform gastritis:
1. Type of acute gastritis
2. Characterized by nodules, thickened folds and erosions
3. Diagnosis is difficult to make on endoscopy
4. Most common form of gastritis

Correct answer: 2. Characterized by nodules, thickened folds and erosions

Explanation: Ans. (b) Characterized by nodules, thickened folds and erosionsRef: Internet SourceVarioliform gastritis (Lymphocytic Gastritis)* Endoscopy shows diffuse large folds in fundus and erosive mucosal bulgings resemble like Menetrier's disease* Uncommon type of gastritis with Lymphocytic infiltration and increased IgE antibodies* Most common in men* A type of chronic and recurrent gastritis* C/B - weight loss, Protein losing enteropathy.